Not true regarding Dandy Walker cyst ?
1. Cerebellar Vermis hypoplasia
2. Hydrocephalus
3. Arachnoid Cyst
4. Posterior fossa cyst

Correct answer: 3. Arachnoid Cyst

Explanation: Ans is 'c' ie Arachnoid cyst "The Dandy-Walker malformation consist of a cystic expansion of the fourth ventricle in the posterior fossa, which results from a development failure of the roof of the 4th ventricle during embryogenesis. Approximately 90% of pts. have hydrocephalus A significant number of children have associated anomalies including agenesis of the posterior cerebellar vermis and corpus callosum" - Nelson